Most common tumour of eye lid:
1. Lacrimal gland tumour
2. Basal cell carcinoma
3. Squamous cell carcinoma
4. Maligant melanoma

Correct answer: 2. Basal cell carcinoma

Explanation: Basal cell carcinoma